Pink disease is due to
1. Methyl mercury
2. Mercurous chloride
3. Mercuric chlorite
4. Mercuric sulphide

Correct answer: 2. Mercurous chloride

Explanation: Ingestion of mercurous chloridein teething powder has led to acrodynia (Pink disease/Swift disease) in infants. This condition presents as feverwith a pink-coloured rash, irritability, photophobia, painfuland swollen extremities and hypersecretion of sweat glands.It is believed to be a hypersensitivity response to the mercurouschloride.Krishan Vij textbook of forensic medicine and toxicology 5e pg: 473